TROTTER'S TRIAD is seen in-
1. Juvenile nasal angiofibroma
2. Acoustic neuroma
3. Nasopharyngeal carcinoma
4. Glomus tumour

Correct answer: 3. Nasopharyngeal carcinoma

Explanation: Ans. is 'c' i.e., Nasopharyngeal carcinoma Trotter's triado Trotter's triad occurs in nasopharyngeal carcinoma. It includes :-i) Conductive deafness (due to Eustachian tube blockage)ii) Temporo - parietal neuralgia (due to involvement of ipsilateral Vth cranial nerveiii) Palatal paralysis (due to involvement of Xth cranial nerve)